Most common lung cancer in non-smokers is:
1. Adenocarcinoma
2. Squamous cell carcinoma
3. Oat cell carcinoma
4. None of the above

Correct answer: 1. Adenocarcinoma

Explanation: Ans. A: AdenocarcinomaAdenocarcinoma accounts for 40% of non-small cell lung cancers. It usually originates in peripheral lung tissue. Most cases of adenocarcinoma are associated with smoking; however, among people who have never smoked ("never-smokers"), adenocarcinoma is the most common form of lung cancer.A subtype of adenocarcinoma, the bronchioloalveolar carcinoma, is more common in female never-smokers, and may have different responses to treatment.